How will you decrease aminoglycoside toxicity?
1. Total dose OD
2. Total dose BD
3. Low dose OD
4. Low dose BD

Correct answer: 1. Total dose OD

Explanation: Ans. is 'a' i.e., High dose OD Authoities recommend giving a single total daily dose regime for aminoglycosides for patients with normal renal function. This is based on the following considerations: 1) Aminoglycosides exert concentration dependent bactericidal action and a long post antibiotic effect, therefore higher plasma concentrations attained after the single daily dose will be equally or more effective than the divided doses. 2) With the single daily dose the plasma concentration will remain subthreshold for ototoxicity and nephrotoxicity for a longer period each day allowing washout of the drug from the endolymph and renal cortex, thus decreasing the toxic effects.